Fracture of lateral condyle of humerus seen in age group of
1. 2 - 3 years
2. 3 - 5 years
3. 5 -15 years
4. 15 - 25 years

Correct answer: 3. 5 -15 years

Explanation: C i.e. 5 - 15 years The lateral condylar (or capitellar) epiphysis beings to ossify during the first year of life & fuses with shaft at 12-16 yearsQ. Between these ages it may be sheared off or avulsed by forceful traction. The maximum chances of injury is between 5 -15 yearsQ.